A patient presented with history of few episodes of vomiting and was given an anti-emetic drug by the intern. Few hours later, the patient developed an abnormal posture. Which of the following is likely drug administered to him?
1. Metoclopramide
2. Ondansetron
3. Domperidone
4. Dexamethasone

Correct answer: 1. Metoclopramide

Explanation: Antiemetic drugs: D2 antagonist : metoclopramide cross BBB, blocking D2 receptor in CNS, causing extrapyramidal side effect like dystonia. Metoclopramide Domperidone Cross BBBCan cause dystonia Do not cross BBBDo not cause dystoniaDOC for levodopa induced vomiting 5HT3(-) 5HT4(+) No other action